Most suitable angle of Z plasty is ?
1. 30 degrees
2. 45 degrees
3. 60 degrees
4. 90 degrees

Correct answer: 3. 60 degrees

Explanation: .60 degree is most commonly used because it provides optimal balance between lengthening and ease of closure